Bochdolek hernia occurs through :
1. Anteromedial part of diaphragm
2. Posterolateral part of diaphragm
3. Central tendon of diaphragm
4. Hiatus hernia

Correct answer: 2. Posterolateral part of diaphragm

Explanation: B i.e. Posterolateral part of diaphragm